True regarding biochemical changes occurring in burns
1. Lipogenesis
2. Glutamine release
3. Decreased catecholamines
4. Protein synthesis

Correct answer: 2. Glutamine release

Explanation: In burns, proteolysis occurs,resulting in increased release of glutamine and alanine from skeletal muscle.